Deficiency of Vitamin D increases the risk of
1. Colon cancer
2. Prostate cancer
3. Breast cancer
4. All of the above

Correct answer: 4. All of the above

Explanation: Cancers associated with vitamin D deficiency: Colorectal cancer, Breast cancer, Prostate cancer, Pancreatic cancer and Colorectal adenoma(" Ref: Meta-analysis of observational studies of serum 25-hydroxyvitamin D levels and colorectal cancer, breast and prostate cancer and colorectal adenoma. International Journal of Cancer")